The ugly duckling stage is seen at the age of
1. 6 - 7 years
2. 9 -10 years
3. 10 - 12 years
4. 12 - 14 years

Correct answer: 2. 9 -10 years